Lipogranuomatous inflammation is seen in.
1. Fungal infection
2. Tuberculosis
3. Chalazion
4. Viral infection

Correct answer: 3. Chalazion

Explanation: Ans. c. Chalazion